Nitrous oxide is contraindicated in all except
1. Vitreo-retinal surgeries
2. Pneumothorax
3. Mastectomy
4. Laser surgery

Correct answer: 3. Mastectomy

Explanation: Nitrous oxide is contraindicated in 

Pneumothorax, pneumoperitoneum
Vitreo-retinal surgery
Cochlear implant surgery
Intestinal obstruction
Laser surgery